Bacteria responsible for initiation of caries is:
1. Actinomyces
2. Strep. mutans
3. Lactobacillus
4. Strep. viridans

Correct answer: 2. Strep. mutans